The amino acid that lacks chirality
1. Lysine
2. Leucine
3. Histidine
4. Glycine

Correct answer: 4. Glycine

Explanation: Ans. is 'd' i.e. Glycine "The Alpha carbon of each amino acid is attached to four different chemical groups and is therefore a chiral or optically active carbon atom. Glycine is the exception because its alpha carbon has two hydrogens substituents (2 H atoms attached to alpha carbon) and is therefore optically inactive (lacks chirality). "All amino acids except glycine exists as two stereoisomers (or optical isomers or enantiomers), designated asD (dextro) &L (levo) forms.All the amino acids found in proteins are of the L-configuration*Also rememberSmallest and simplest amino acid - Glycine*Amino acid responsible for flexibility of proteins is - Glycine*